All are components of bile, except -
1. Bile salts
2. Bile pigment
3. Stercobilinogen
4. Bilirubin

Correct answer: 3. Stercobilinogen

Explanation: Ans. is 'c' i.e., Sterc obi ImogenBile Juice (Bile)o Small amount of bile is continously synthesize in the liver. It is transferred to the gall bladder through the cystic duct, because during the interdigestive period, tone of the sphincter of oddi is so high that the bile cannot enter the duodenum.o About 500 ml of bile is secreted per day (20.8 ml/hrr) by the liver.o In the gallbladder, bile is stored and concentrated.o After a meal contraction of the gallbladder transfers a large volume of bile into the duodenum.o Most of the bile is reabsorbed into terminal ileumr and undergoes enterohepatic circulationr.o The major constituents of the bile juice are bile salts (mainly, taurcocholates and glycocholates), bile pigments (bilirubin and biliverdin), lipids (cholesterol, lecithin, fatty acid and triglycerides) and electrolytes.o Electrolytes include Na% K\ Cl', HCO. and Ca*+. Of all the constituents, only bile salts are of importance to the digestive system.o The amphipathic property of bile salts is important for fat emulsification and micelle formationr.o They also have choierectic function.